Which is a eukaryote among the following
1. Mycoplasma
2. Bacteria
3. Fungus
4. Chlamydia

Correct answer: 3. Fungus

Explanation: Based on differences in cellular organization and biochemistry this kingdom has been divided into two groups: prokaryotes and eukaryotes. Bacteria and blue-green algae are prokaryotes while fungi other algae, slime molds, and protozoa are eukaryotes. Bacteria are prokaryotic microorganisms that do not contain chlorophyll. They are unicellular and do not show true branching except in the so-called higher bacteria. Ref: Textbook of Microbiology; Ananthanarayan and Paniker; 9th edition; Pg no: 9